Cyclodevelopmental type of transmission is seen in-
1. Malaria
2. Filaria
3. Plague
4. Cholera

Correct answer: 2. Filaria

Explanation: Ans. is 'b' i.e., Filaria o Transmission by vectors may be of following types :A) Mechanical transmission# The infectious agent is mechanically transported by vector, e.g., through souling of feet of flying arthropod.# There is no development or multiplication of infectious agent within the vector.B) Biological transmission# The infectious agent undergoes replication (change in number) or development (change in form) or both in vector.# So, inectious agent requires an incubation period (extrinsic incubation period) before vector can transmit it to host.# This type of transmission is of three types : -i) Propagativeo Agent undergoes multiplication (increase in number), but there is no development (no change in the form), for example plague bacilli in rat flea.ii) Cyclo-developmentalo Agent undergoes only development (change in form) but there is no multiplication (no change in number), for example microfilaria in mosquito.iii) Cyclo-propagativeo There is both development (change in form) and multiplication (change in number), for example malarial parasite (plasmodium) in mosquito.